Which of the following organs putrefy last in a male?
1. Uterus
2. Prostate
3. Testes
4. Liver

Correct answer: 2. Prostate

Explanation: Prostate is the last organ to putrefy in males. In females, non gravid uterus is the last organ to putrefy. Gravid or postpartum uterus putrefies early. The sequence of putrefaction in internal organs: Organs which putrefy early are: Brain Mucosa of trachea and larynx Stomach and intestine Spleen Liver Organs that putrefy late are: Esophagus Diaphragm Heart Lungs Kidney Urinary bladder Uterus Prostate Ref: Principles of Forensic Medicine and Toxicology By Rajesh Bardale page 155.